A child presented with fever and lymphadenopathy. Oral examination shows a grey membrane over the right tonsil. Which of the following medium will be used for early diagnosis of pathogen:
1. Nutrient agar
2. Blood agar
3. Loeffler's serum slope
4. Lowenstein Jensen medium

Correct answer: 3. Loeffler's serum slope

Explanation: Loeffler's serum slope will be used for early diagnosis of pathogen. Fever, cervical lymphadenopathy and grey membrane on the tonsil extending to anterior pillar is suggestive of diphtheria infection. Loeffler's serum slope: Enriched medium frequently used for the growth of C. diphtheriae. Bacteria produce a luxuriant growth in 6-8 hours at 37degC. Does not support the growth of streptococci and pneumococci. , Lowenstein Jensen (LJ) medium: Selective media. For Mycobacterium species. Nutrient agar Simple/Basal Media. Used to see pigmentation and to make other media like blood agar. Blood agar Enriched Media. Used to see Hemolytic property of the bacteria.